A Health Guide works at -
1. Each village level
2. Sub-centre level
3. PHC level
4. Community level

Correct answer: 1. Each village level

Explanation: Village level Village health guide Local dais Anganwadi worker ASHA (refer pgno:902 park 23rd edition)